Sawtooth waves are most characteristic of what sleep stage?
1. Stage 1
2. Stage 2
3. Stages 3 and 4
4. REM sleep

Correct answer: 4. REM sleep

Explanation: Sawtooth waves are primarily seen in REM sleep Sleep spindles and K-complexes are seen in stage 2 Delta waves are in deep sleep (stage3 and stage 4)